Lipopolysaccharide is a major component of cell  wall  in:
1. Gram positive  bacteria
2. Gram negative  bacteria
3. Fungi
4. Parasites

Correct answer: 2. Gram negative  bacteria

Explanation: Endotoxins are lipopolysaccharide (LPS) in nature and form an integral part of the cell wall of gram-negative bacteria. 
They are released from the bacterial surface by natural lysis of the bacteria or by the disintegration of the cell wall. 
They are heat stable. 
The toxicity of endotoxin depends on the lipid component (lipid A). Lipopolysaccharide binds to neutrophils via lipid A and alters neutrophil functions as follows:

It decreases chemotactic activity.
Random migration of neutrophils is decreased.
Alters the metabolic and bactericidal properties of neutrophils.